A point that falls on horopter excites:
1. Corresponding retinal points
2. Crossed diplopia
3. Confusion
4. Stereopsis

Correct answer: 1. Corresponding retinal points

Explanation: Ans. Corresponding retinal points